What is the type of joints between the ossicles of ear?
1. Fibrous joints
2. Primary cartilaginous
3. Secondary cartilaginous joints
4. Synovial joints

Correct answer: 4. Synovial joints

Explanation: D i.e. Synovial joint